If a doctor gives a false medical certificate to a patient, he is liable to be prosecuted under which section of the IPC –
1. 197
2. 147
3. 167
4. 137

Correct answer: 1. 197

Explanation: Sec 197 IPC states that whoever issues or signs any certificate required by law to be given or signed, or relating to any fact of which such certificate is by law admissible in evidence, knowing or believing that such certificate is false in any material point, shall be punished in the same manner as if he gave false evidence.